A 25-year-old female presents with history of fever and oral ulcers and has developed erythematous lesions on her face. Comment on the diagnosis?
1. SLE
2. Dermatomyositis
3. Melasma
4. Rosacea

Correct answer: 1. SLE

Explanation: The image shows an erythematous rash sparing the nasolabial folds which coupled with clinical history points to diagnosis of SLE. Dermatomyositis leads to heliotrope rash involving the upper eye lid and proximal muscle weakness. Melasma presents as grey-brown patches, usually on the face on their cheeks, bridge of their nose, forehead, chin, and above their upper lip. It also can appear on sun-exposed parts of body, such as the forearms and neck. Rosacea presents as redness can slowly spread beyond the nose and cheeks to the forehead and chin. There will be flushing, visible blood vessels and acne like breakouts.